Which of the following drug acts against Pseudomonas -
1. Piperacillin
2. Methicillin
3. Nafcillin
4. Cloxacillin

Correct answer: 1. Piperacillin

Explanation: Ans. is 'a' i.e., Piperacillin Drugs acting against Pseudomonas. o Penicillins- Piperacillin, Carbenicillin, Ticarcillin, Mezlocillin. o Cephalosporins - Ceftazidime, Cefoperazone, Cefepime. o Carbapenems- Imipenem, meropenem o Monobactams - Aztreonam. o Aminoglycosides - Tobramycin, Gentamycin, Amikacin. o Fluroquinolones - Ciprofloxacin, Levofloxacin, Norfloxacin.. o Other - Polymixin B, Colistin.